c-ANCA is positive in
1. Microscopic Polyangitis
2. Wegener's Granulomatosis
3. Churg Strauss Syndrome
4. Behcet's syndrome

Correct answer: 2. Wegener's Granulomatosis

Explanation: Ans. (b) Wegener's Granulomatosis(Ref: Robbins 9th/pg 507, Harrison 18thed p-2786-87)C-ANCA (proteinsase 3 Q is the target antigen)Typically seen in Wegner's Granulomatosis Q